All of the following are true of red infarction, except?
1. Occurs with venous occlusion
2. Seen in loose tissues
3. Occurs in end arterial occlusion
4. Occurs in previously congested tissue

Correct answer: 3. Occurs in end arterial occlusion

Explanation: Ans. is 'c' i.e., Occurs in end arterial occlusion